Which of the following is the prosthetic group of the enzyme ALA dehydratase?
1. Zinc
2. Copper
3. Lead
4. Magnesium

Correct answer: 1. Zinc

Explanation: ALA dehydratase is a zinc metalloprotein. Option c - Lead inhibits ALA dehydratase. -Additional information: List of zinc containing enzymes: Carbonic anhydrase Carboxy peptidase Alcohol dehydrogenase Alkaline phosphatase Lactate dehydrogenase ALA dehydratase Glutamate dehydrogenase Superoxide dismutase Phospholipase C RNA polymerase